Impetigo is characterized by all except
1. Superficial bacterial infection commonly due to staph. Aureus
2. Microscopic feature is accumulation of lymphocyte beneath the stratum corneum
3. Blister formation is due to bacterial production of a toxin that cleaves Desmoglein 1
4. Typically involves exposed skin mainly hands and face

Correct answer: 2. Microscopic feature is accumulation of lymphocyte beneath the stratum corneum

Explanation: Characteristic microscopic feature in impetigo is accumulation of neutrophils beneath the stratum corneum producing a subcorneal pustule.